The mechanism of action of Apixaban is
1. Direct thrombin inhibitor
2. Factor Xa inhibitor
3. Antithrombin 3 activator
4. Vitamin K antagonist

Correct answer: 2. Factor Xa inhibitor

Explanation: (B) Factor Xa inhibitor[?]APIXABAN is an oral anticoagulant and a highly selective direct inhibitor of factor Xa with rapid onset of action.oUsed to decrease the risk of venous thromboses, systemic embolization and stroke in patients with atrial fibrillation, and lower the risk of deep vein thrombosis and pulmonary embolus after knee or hip replacement surgery.oApixaban has been linked to a low rate of serum aminotransferase elevations during therapy and to rare instances of clinically apparent liver injury.oIt does not require routine laboratory monitoring in the majority of patients except in special situations such as serious bleeding into critical organs, potential overdose, emergency surgery.oOther new oral anticoagulants include edoxaban, betrixaban oDirect X2 inhibitoroAnticoagulant for treatment & prophylaxis of venous thromboembolic events